Protein content in F-75 milk formula ?
1. 0.5 gm per 100 ml
2. 0-9 gm per 100 ml
3. 1-5 gm per 100 ml
4. 2.0 gm per 100 ml

Correct answer: 2. 0-9 gm per 100 ml

Explanation: Ans. is `b' i.e., 0.9 gm per 100 ml